Definition of family is?
1. Biologically related members living together
2. Biologically related members living under single roof
3. Group of people living together and sharing a kitchen
4. Biologically related people living together and sharing a kitchen

Correct answer: 4. Biologically related people living together and sharing a kitchen

Explanation: ANSWER: (D) Biologically related people living together and sharing a kitchenREF: Park 22nd ed page 634FAMILY:The family is Primary unit of all societies. It is a group of biologically related individuals living together and eating from a common kitchen. It differs from household. All members of household are not biologically related, e.g servants. A family is a biological unit, a cultural unit and an epidemiological unitFamily of origin : one in which an individual is bornFamily of procreation: in which one sets after marriageBASIC MODEL OF A NUCLEAR FAMILY CYCLEPhases of family cycleEvents No. descriptionBeginning of phaseEnd of phaseI. FormationMarriageBirth of 1st childII. ExtensionBirth of 1st childBirth of last childIII. Complete extensionBirth of last child1st child leaves homeIV. Contraction1st child leaves homeLast child leaves homeV. Complete contractionLast child leaves home1st spouse diesVI. Dissolution1st spouse diesDeath of survivor (extinction)TYPES OF FAMILY:Nuclear family {elementary family): consists of married couple and their children while they are still dependent.New families: <10 years durationExtended family (Three generation family): Representatives of three generations live together related to each other by common descent. It is different from joint familyJoint family:Many families live togetherAll male members are related by bloodThe property is common and expenses are from common purseAuthority is with senior male member